A 33 year old woman has experienced episodes of fatigue, pleural effusion, pericardial effusion and carpal tunnel syndrome and macrocytic anemia. Best test for diagnosis shall be -
1. Anti-beta 2 phospholipid antibodies
2. Anti-smith antibody
3. Antinulear antibody
4. Assay for thyroid hormones

Correct answer: 4. Assay for thyroid hormones

Explanation: ANSWER- D. Assay for thyroid hormonesCarpel tunnel syndrome is a common complication of hypothyroidism and is often reversible with thyroid hormone therapy.Normally hypothyroidism is associated with normochromic anemia but may sometimes also cause macrocytic anemia.